All of the following are true about type 1 HLA except?
1. Present on APC
2. Activate cytotoxic T cell and kill virus infected cell
3. Present on nucleated cells
4. First line defense mechanism

Correct answer: 4. First line defense mechanism

Explanation: Ans. (d) First line defense mechanism(Ref: R 9th/pg 191)a. True; It is present on all nucleated cells including antigen presenting cells as well as plateletsb. True; It activates cytotoxic T cell and kill virus infected cellc. True; It is present on platelets also, which are non- nucleated cellsd. False; It is a part of adaptive immunity (second line defense mechanism)